Notochord develops in?
1. 3rd week
2. 3rd month
3. 6 month
4. 10th month

Correct answer: 1. 3rd week

Explanation: A i.e. 3rd week